Pt with recurrent diarrhoea, pseudopolyp, lead pipe appearance on Ba enema has -
1. Ulcerative colitis
2. Crohn's disease
3. Irritable bowel syndrome
4. Short bowel syndrome

Correct answer: 1. Ulcerative colitis